NaCl symport is present in which part of the nephron?
1. PCT
2. Loop of Henle
3. DCT
4. Collecting duct

Correct answer: 3. DCT

Explanation: In DCT: - The symporter is NCC (Na+-Cl- cotransporter) In the PCT, the apical membrane has Na+/H+-antiporter, which couples H+ secretion with the Na+ movement across the apical membrane. In the TAL of loop of Henle: - The symporter NKCC moves 1 Na+, 1 K+, 2 Cl- through the apical membrane into the cell. In the late distal tubule and collecting duct: - Na+ diffuses across the apical membrane through the epithelial Na+ channel (ENaC).